Commonest presentation of neurocysticercosis is:
1. Seizures
2. Focal neurological deficits
3. Dementia
4. Radiculopathy

Correct answer: 1. Seizures

Explanation: Answer is A (Seizures): "These is wide variety of presentation of Neurocysticercosis depending on the intensity of the infestation, the localization of cystecerci and the degree of inflammatory reaction. Epilepsy (seizure activity) is the most common manifestation occurring in upto 50% cases - API text book of Medicine 6th/784 Cysticercosis is infection with the larval stage (cysticercus) of T. sollum. These cysts are located in order of frequency in : CNS (Neurological manifestations are the most common) - Harrison's' 15th/1249 Subcutaneous tissue Striated muscle Globe of the eye